A patient consumed a well cooked meat sandwich in a party, now complains of diarrhea, nausea, vomiting and abdominal cramps 2 hours later. What could be the causative organism responsible:
1. Clostridium
2. Salmonella typhi
3. Staphylococcus aureus
4. Campylobacter jejuni

Correct answer: 3. Staphylococcus aureus

Explanation: History of eating meat sandwich with complains of diarrhea, nausea, vomiting and abdominal cramps after 2 hours clearly indicate Staphylococcal food poisoning.